Enterically transmitted Non-A Non-B (NANB) hepatitis?
1. Hepatitis C
2. Hepatitis D
3. Hepatitis E
4. Hepatitis F

Correct answer: 3. Hepatitis E